The most common site for amebiasis is -
1. Sigmoid colon
2. Transverse colon
3. Cecum
4. Hepatic flexure

Correct answer: 3. Cecum